Intermediate filaments in glial cells are
1. Keratin
2. Desnin
3. GFAP
4. Bone

Correct answer: 3. GFAP

Explanation: Intermediate filaments are used as tumor markers GFAP is the intermediate filament present in glial cells, they are used to indicate astrocytoma Ref:Guyton and Hall textbook of medical physiology 12th edition,page number:8,9,14